A 50 year old patient presents with Stage III CA cervix, Management:-
1. Radiotherapy
2. Radio+chemo
3. Surgery + chemo
4. Intrabrachial radiotherapy

Correct answer: 2. Radio+chemo

Explanation: All cancers in Gynecology are surgically staged However, Cervical cancer is clinically staged. Although modern radiographic modalities such as CT scan, MRI , ultrasound, or PET may be beneficial for individual treatment planning. Treatment of cervical cancer is based on stage of disease. In general, early stage disease , untill II A (tumour size less than 4 cm) can be treated with either radical surgery or radiation therapy. Advanced stage disease (>=IIB)) is best treated with chemoradiation.